Acute hyponatremia in 8 month old infant may produce all except –
1. Diarrhoea
2. Convulsions
3. Muscle cramps and weakness
4. Vascular collapse

Correct answer: 1. Diarrhoea

Explanation: Hyponatremia


Hyponatremia is defined as serum concentrationof Na+ < 130 meg/L.
Hyponatremia causes a decrease in the osmolality of ECF.
Because the intracellular space then has a higher osmolality, water Inevitably moves from the extracellular to intracellular space.
Increase in intracellular water causes cell to swell.
Although cell swelling is not problematic in most tissues, it is potentially dangerous in the brain because it is contained in the fixed shell the skull.
As brain cells swell, there is an increase in ICI:
So brain cells swelling is responsibe for most of the symptoms of hvponatremia. 

❑ Anorexia, nausea & vomiting          ❑ Headache         ❑ Drowsiness
❑ Convulsions         ❑ Coma                ❑ Circulatory failure and hypotension

Hyponatremia can also cause muscle cramp and weakness.
Central pontine myelinosis is classically associated with overlay rapid correction of hyponatremia.